A reflex which is not present in a child at birth is –
1. Moro's reflex
2. Symmetric tonic neck reflex
3. Crossed extensor reflex
4. Asymmetric tonic neck reflex

Correct answer: 2. Symmetric tonic neck reflex

Explanation: Tonic neck reflex is divided into two types

Asymmetric Tonic neck reflex
Symmetric Tonic neck reflex